The most appropriate test to assess the prevalence of tuberculosis infection in a community is:
1. Mass miniature radiography
2. Sputum examination
3. Tuberculin test
4. Clinical examination

Correct answer: 3. Tuberculin test

Explanation: Tuberculin test